Peripartum cardiomyopathy is defined as occurrence of cardiac failure within what duration of delivery?
1. Within 7 days
2. Within 6 weeks
3. Within 24 hours
4. Within 5 months

Correct answer: 4. Within 5 months

Explanation: Peripartum cardiomyopathy currently is a diagnosis of exclusion following a concurrent evaluation for peripartum heart failure. Following is the diagnostic criteria: Development of cardiac failure in the last month of pregnancy or within 5 months after delivery, Absence of an identifiable cause for the cardiac failure, Absence of recognizable heart disease prior to the last month of pregnancy Left ventricular systolic dysfunction demonstrated by classic echocardiographic criteria,like reduced Ejection fraction and a dilated left ventricle.